Urinary incontinence in females is best investigated by:
1. Cystometry
2. Colonoscopy
3. Colposcopy
4. Cystoscopy

Correct answer: 1. Cystometry

Explanation: Ans. is a, i.e. Cystometry(Ref: William Gynaec 3rd/ed, p526)Diagnostic procedures in urinary continence include-* Urinalysis and culture to rule out infection* Post voidal residual volume* Urodynamic studies done by cystometry.